Not true about varicocele is -
1. Common on the right side
2. Can present as a late sign of renal cell carcinoma
3. Has bag of worm like feeling
4. Can lead to infeility

Correct answer: 1. Common on the right side

Explanation: Ans. is 'a' ie Common on the Rt. side Varicocele It is seen 95% of times on left side.Several anatomic features contribute to the predominance of left-sided varicoceles. The left internal spermatic vein is longer than the right; in addition, it usually joins the left renal vein at right angles. The right internal spermatic vein has a more oblique inseion into the inferior vena cava. This paicular anatomy in the standing man may cause higher venous pressures to be transmitted to the left scrotal veins and result in retrograde reflux of blood into the pampiniform plexus.Clinical pictureAge - young adultTall thin men are frequently affected*Bag of worms* like feel on palpationThe veins empty in supine position (so examination is always done in standing position)Infeility : The varicocele is the most common cause of male infeility world wide. In approximately 70% of patients with secondary infeility, a varicocele is an underlying cause. "The World Health Organization concluded that varicoceles are clearly associated with impairment of testicular function and infeility."